'Dipstick test' for rapid diagnosis of Plasmodium falciparum is based on:-
1. Arginine-rich protein
2. Histidine-rich protein
3. Tyrosine-rich protein
4. Serine-rich protein

Correct answer: 2. Histidine-rich protein

Explanation: 'Dipstick test' is used for the rapid diagnosis of plasmodium falciparum: Is a 'rapid whole blood immunochromatographic test'. Uses 2 antibodies specific for 'Pf Histidine Rich Protein II antigen'. Is a 'antigen capture assay'. ALSO REMEMBER: Serological diagnosis of Kala Azar is based on: rk39 antigen. Serological diagnosis of Dengue is based on: NS-1 antigen.